All of the following is used as antiemetic, EXCEPT:
1. Granisetron
2. Dolasetron
3. Palonosetron
4. Alosetron

Correct answer: 4. Alosetron

Explanation: Alosetron is a 5-HT3 antagonist that has been approved for the treatment of patients with severe IBS with diarrhea. Four other 5-HT3 antagonists (ondansetron, granisetron, dolasetron, and palonosetron) have been approved for the prevention and treatment of nausea and vomiting (see Antiemetics); however, their efficacy in the treatment of IBS has not been determined. The differences between these 5-HT3 antagonists that determine their pharmacodynamic effects have not been well studied Ref: Katzung 11th edition Chapter 60.